Tardy ulnar nerve palsy is seen in -
1. Medial condyle humerus
2. Lateral condyle humerus
3. Humerus shaft fracture
4. Fracture shaft radius

Correct answer: 2. Lateral condyle humerus

Explanation: Ans. is 'b' i.e., Lateral condyle humerus o Causes of tardy ulnar nerve palsy are : -Main nited lateral condyle humerus fracture (cubitus valgus)Displaced medial epicondyle humerus fractureCubitus varus deformity' (due to supracondylar fracture humerus)Elbow dislocationContusions of ulnar nerveShallow ulnar grooveHypoplasia of humeral trochleaJoint deformity after prolonged arthritis of elbow